Which of the following not included under the 7 clean practices during delivery under the CSSM program?
1. Clean surface
2. Clean cord and tie
3. Clean stump
4. Clean cold water

Correct answer: 4. Clean cold water

Explanation: The Child Survival and Safe Motherhood Programme (CSSM): The objectives of the programmes were to improve the health status of infants and reduce child and maternal morbidity and mortality. Create awareness among the community about the need for 7 clean practices during delivery. Clean surface Clean hand Clean towel Clean blade Clean cord and tie Clean stump Clean warm water